Drug of choice for anti-psychotic induced Parkinsonism
1. Pimavanserin
2. Trihexyphenidyl
3. Droxidopa
4. Pramipexole

Correct answer: 2. Trihexyphenidyl

Explanation: Central anticholinergics  are used for treatment of drug induced parkinsonism